Most common site for retinal break is
1. Upper temporal
2. Lower temporal
3. Upper nasal
4. Lower nasal

Correct answer: 1. Upper temporal

Explanation: Upper temporal region is most common site for retinal break The mechanism most commonly involves a break in the retina that then allows the fluid in the eye to get behind the retina. A break in the retina can occur from a posterior vitreous detachment, injury to the eye, or inflammation of the eye. Other risk factors include being short sighted and previous cataract surgery Reference: Aravind FAQS in Ophthalmology; First Edition; Page no: 371